Tick born viral encephalitis is seen inn
1. Omsk hemorrhagic fever
2. Lassa fever
3. Marburg fever
4. Ebola virus

Correct answer: 1. Omsk hemorrhagic fever

Explanation: (A) Omsk hemorrhagic fever /Ananth7 - 524, 531]# Omsk hemorrhagic fever virus (tick-borne encephalitis (far eastern subtype):> Flaviviridae; spherical, enveloped virions about 45 nm in diameter, single-stranded, positive sense RNA genome> Pathogenicity: sudden onset of fever, chills, headache, pain in lower and upper extremities and severe prostration; a papulovesicular rash on the soft palate, cervical lymphadenopathy and conjunctival suffusion are usually present; central nervous system abnormalities develop after one to two weeks; severe cases present with haemorrhages - no cutaneous rash; leukopenia and thrombocytopenia are marked; estimated case fatalities are 1-10%; previous infection leads to immunity> Hosts: Humans, rodents, muskrat and possibly ticks> Mode of Transmission: By the bite of an infective tick (Dermacentor reticulatus and D. marginatus, Ixodes persulcatus)', data suggests direct transmission from both muskrat to humans and virus contaminated water to humans> Incubation Period: Usually 3-8 days> Communicability: Not directly transmitted from person-to-person; ticks remain infective for life> Reservoir: Rodents, muskrats and ticks> Zoonosis: Yes - disease can be acquired from direct contact with muskrats> Vectors: Ticks (Dermacentor retiqulatus, D. marginatus, Ixodes persulcatus)# Lassa viral haemorrhagic fever is an acute illness of 1-4 weeks duration that occurs in West Africa.> Virus is a single-stranded RNA virus belonging to the virus family Arenaviridae.> Lassa fever is known to be endemic in Guinea (Conakry), Liberia, Sierra Leone and parts of Nigeria,# Marburg virus is the causative agent of Marburg hemorrhagic fever. Both the disease and virus are related to Ebola and originate in the same part of Africa (Uganda and Eastern Congo). The zoonosis is of unknown origin, but some scientists believe it may be hosted by bats.# Ebola is both the common term used to describe a group of viruses belonging to genus Ebolavirus, family Filoviridae, and the common name for the disease which they cause, Ebola hemorrhagic fever.